Which of the following is not true regarding Embryonal rhabdomyosarcoma?
1. Seen in infants and children
2. Presents as grape like clusters called as sarcoma botryoides
3. Tumor cells have tennis racket appearance
4. Has association with exposure to Diethylstilbestrol in uterus

Correct answer: 4. Has association with exposure to Diethylstilbestrol in uterus

Explanation: DES exposure in utera has association with clear cell adenocarcinoma of cervix and vagina.